Le Fort classification involves fracture of
1. Maxilla
2. Mandible
3. Zygomatic arch
4. Nasal bone

Correct answer: 1. Maxilla

Explanation: Le Fort classification involves the fractures of maxilla which includes transverse fracture, pyramidal fracture and craniofacial dysfunction. Ref: Textbook of diseases of ENT, PL Dhingra, 7th edition, pg no. 207